DTPA scan of hypertensive young lady is normal, USG shows small kidney on left side. Next investigation will be ?
1. CT Scan abdomen
2. Retrograde pyelogram
3. Digital subtraction angiography
4. DMSA

Correct answer: 3. Digital subtraction angiography

Explanation: Ans. is 'c' ie. Digital Subtraction angiography Hypertension in a young female is most probably due to renal artery stenosis (cause fibromuscular dysplasia) DTPA scan which shows the GFR* comes to be normal because of increased renin activity. Digital subtraction angiography or Doppler U/S will show the stenosis. Now MRA (Magnetic resonance angiography) has replaced all previous modalities as the most sensitive (>95%) and specific test (95%) for the diagnosis of renal artery stenosis. But the most definitive diagnostic procedure is bilateral arteriography with repeated bilateral renal vein and systemic renin determinations.